Suprasellar calcification along with growth retardation is found in :
1. Thalamic tumor
2. Pituitary tumor
3. Craniopharyngioma
4. Pineal tumour

Correct answer: 3. Craniopharyngioma

Explanation: Ans. is 'c' i.e. Craniopharyngioma "Presence of suprasellar midline calcification immediately suggest the diagnosis of craniopharyngioma. " - Sutton, 6/e, p 1609.Craniopharyngioma is the most common cause of suprasellar calcification*